When an outcome is compared with intended objectives, it is called as –
1. Monitoring
2. Evaluation
3. Input-Output analysis
4. Network analysis

Correct answer: 2. Evaluation

Explanation: Evaluation

Evaluation measures the degree to which objectives and targets are fulfilled and the quality of results obtained.
The purpose of evaluation is to assess the achievement of the stated objectives of a programme
While monitoring is confined to day-to-day or on-going operation, evaluation is concerned with the final outcome.